A 15 year old boy with partial seizure who develops secondary generalization with tonic clonic seizures should be given
1. Oxycarbamzepine
2. Zonisamide
3. Lacosamide
4. Gabapentin

Correct answer: 1. Oxycarbamzepine

Explanation: Carbamazepine or Oxcarbamazepine are the drug of choice for partial seizures with or without secondary generalization. Choice of AED according to the epileptic syndromes: No Epilepsy syndrome First line AED Second line AED 1 Juvenile Myoclonic Epilepsy VPA PB, CZP 2 Progressive Myoclonic Epilepsy VPA CZP 3 Lennox Gastaut Syndrome VPA, LTG, TPM CZP, LEV 4 Infantile Spasm ACTH, VGB VPA, CLB 5 Benign Rolandic Epilepsy CBZ, VPA, LTG PHT, LEV 6 Sever Myoclonic Epilepsy of Infancy CLB,CZP, VPA LEV, Stiripentol 7 Landau Kleffner Syndrome VPA, LTG, STEROIDS LEV, TPM 8 Myoclonic Astatic Epilepsy CZP, ZLB, VPZ LEV, LTG